The principle that is the spinal cord dorsal roots are sensory and the ventral roots are motor is known as
1. Laplace's law
2. Bell-Magendie's law
3. Frank Starling's law
4. Weber-Fechner's law

Correct answer: 2. Bell-Magendie's law

Explanation: In the spinal cord fact that the dorsal roots are sensory and the ventral roots are motor is called Bell-Magendie law. The anterior spinal nerve roots contain only motor fibers and posterior roots only sensory fibers and that nerve impulses are conducted in only one direction in each case. Ref: guyton and hall textbook of medical physiology 12 edition page number:672,673,674